Trimetazidine acts by
1. Inhibiting Rhokinase
2. Inhibits Molecular light chain kinase (MLCK) and increase cGMP
3. Inhibits pFox enzyme and inhibits β - oxidation of Fatty acids
4. Inhibits sodium channels and decreases funny current

Correct answer: 3. Inhibits pFox enzyme and inhibits β - oxidation of Fatty acids

Explanation: It  inhibits pFox enzyme and inhibits β - oxidation of fatty acids and increases glucose oxidation. Thus reduces the oxygen consumption & demand in an ischaemic cell.